The following interleukin is characteristically produced in TH1 response -
1. IL1
2. IL2
3. IL3
4. IL4

Correct answer: 2. IL2

Explanation: Ans. is 'b' i.e.? IL2 Selected important cytokinesNameMajor Cellular SourceSelected Biologic EffectsIFN-a, -bLeukocytes (IFN-a), fibroblasts (IFN-b)Antiviral, pyrogenicIFN-(interferon)T cells, NK cellsActivates mononuclear phagocytesTNF-a (tumor necrosis factor alpha)Macrophages, NK cellsCell activation, fever, cachexia, antitumorTNF -b (tumor necrosis factor beta).T cells. B cellsActivates leukocytes, antitumorLT (lymphotoxin) 1L-1 (interleukin - 1)Macrophages, epithelial cellsT cell and macrophage activation,fever, cachexiaIL-2 (interleukin - 2)T cells (CD4 Helper T-cells)T cell growth and activationIL-3 (interleukin - 3)T cells, thymic epithelial cellsHematopoiesisIL-4 (interleukin - 4)T cells, mast cells, NK cellsB cell proliferation and switching to IgEIL-5 (interleukin - 5)T cellsDifferentiation of eosinophilsIL-7 (interleukin - 7)Bone marrow stromal cellsLymphoid progenitor differentiation